Which of the following is not a common site for mata static calcification
1. Gastric mucosa
2. Kidney
3. Parathyroid
4. Lung

Correct answer: 3. Parathyroid

Explanation: Metastatic calcification may occur widely through out the body but principally affects Interstitial tissues of gastric mucosa Kidney Lungs Systemic arteries Pulmonary veins